A protein to lipid ratio on a weight basis of 1:1 is present in the membrane of which organelle?
1. Inner mitochondrial membrane
2. Myelin
3. Plasma membrane of human erythrocyte
4. Sarcoplasmic reticulum

Correct answer: 3. Plasma membrane of human erythrocyte